Genu of internal capsule contains:
1. Optic radiation
2. Corticospinal tract
3. Corticorubral tract
4. Cortico nuclea r tract

Correct answer: 4. Cortico nuclea r tract

Explanation: Ans: D (Corticonuclear fibers) Genu is the bend b/w anterior & posterior limbsFibres in Internal CapsulePartDescending tractsAscending tractsAnterior limbFrontopontine fibresQAnterior thalamic radiationGenuCorticonuclear fibresQAnterior part of superior thalamic radiation (from VPN)Posterior limbCorticospinalTract (Pyramidal tract)Corticopontine fibresQCorticorubral fibresQSuperior thalamicradiationFibres from giobus pallidas to subthalamic nucleusRetrolentiformpartParietopontine and occipitopontine fibres Fibres from occipital cortex to superior colliculus and pretectal regionPosterior thalamic radiation (mainly optic radiation6 partly fiibres connecting the parietal and occipital lobes to thalamus)SublentiformpartInterconnections between temporal lobe and thalamusAuditory radiation1' (BDC): Scheme to s/row the fibers passing through the internal capsule